In primary teeth, gingival seat in a class II preparation is:
1. Left unbevelled
2. Beveled so as to remove caries
3. Beveled so as to remove unsupported enamel rods
4. Beveled same as permanent tooth

Correct answer: 1. Left unbevelled